Patients taking a β–adrenergic receptor blocking drug may experience all of the following except:
1. Exacerbation of existing heart block
2. Precipitation of heart failure
3. Nasal blockage
4. Cold extremities

Correct answer: 3. Nasal blockage